The attachment of eukaryotic mRNA to the ribosome is mediated through?
1. Poly a Tail
2. tRNA
3. Guanyl cap
4. Shine dalgarno sequence

Correct answer: 3. Guanyl cap

Explanation: Eukaryotic mRNAs have 7-methylguanosine caps at 5' end and poly-A tails at 3' end. The 7-methylguanosine caps (Guanyl caps) help the ribosomes to recognize the site of attachment to the mRNA. Once the ribosomes bind to the 5' end, they then scan downstream until they encounter an AUG codon (Start codon). AAUAAA is present at the 3' end, is the polyadenylation sequence (poly-A tail); They help stabilize the mRNA, facilitate its exit from the nucleus and aid in translation. tRNA molecules serve as adapters for the translation of the information in the sequence of nucleotides of the mRNA into specific amino acids. Shine-Dalgarno sequence initiates translation in prokaryotes Reference: Harpers illustrated biochemistry 30th edition